Initial investigation for obstructive jaundice
1. USG
2. CT scan
3. ERCP
4. MRI

Correct answer: 1. USG

Explanation: Obstructive jaundiceObstructive jaundice is a particular type of jaundice and occurs when the essential flow of bile to the intestine is blocked and remains in the bloodstream.Causes of Obstructive jaundice Due to blocked bile ducts caused by Swelling of Clinical featuresDiagnosisTreatmentSymptoms of obstructive jaundice include yellowing of the skin and whites of the eyes; paler stools and darker urine; and intense itching. Other symptoms vary, depending on the underlying cause of the obstruction although you may also feel tired.Blood tests to examine the level of Ultrasound the liver and bile ducts to find out the exact cause of the obstruction Surgical resection (Refer: Sabiston's Textbook of Surgery, 19th edition, pg no: 1535-1544)